Puppe's rule deals with?
1. Chemical injuries
2. Multiple impact injuries
3. Sexual assault
4. Percentage of burns

Correct answer: 2. Multiple impact injuries

Explanation: Ans. is `b' i.e., Multiple impact injuries